The age by which most of the normal babies know their gender is -
1. 1 year
2. 2 years
3. 3 years
4. 4 years

Correct answer: 3. 3 years

Explanation: Ans. is 'c' i.e., 3 years